True about Glomus- jugulare tumour -
a) Most common in male
b) Arises from non- chromaffin cells
c) Lymph node metastasis seen
d) Multicentric
e) Fluctuating tinnitus and conductive type of hearing loss seen
1. acde
2. abc
3. bde
4. bcde

Correct answer: 3. bde

Explanation: Glomus tumor is more common in females.
Glomus tumor is also referred to as chemodectomy or nonchromaffin paraganglion.
Glomus tumor is a benign tumor, therefore lymph node metastats is not present.
Multicentric tumors are found in 3-10% of sporadic cases and in 25-50% of familial cases.
Fluctuating (Pulsatile) tinnitus and conductive hearing loss are the earliest symptoms of glomus tumor.